Depressor reflex, Bezold-Jarisch reflex, produced by the following stimulus:
1. Atrial overload
2. Myocardial infarction
3. Ventricular distension
4. Isotonic exercise

Correct answer: 3. Ventricular distension

Explanation: Ventricular distension can produce a powerful depressor reflex called the Bezold-Jarisch reflex; vagal afferents of this cardiopulmonary reflex are also activated by chemical stimulation (eg, prostanoids, cytokines, serotonin, and classically, Veratrum alkaloids). The central connections for this reflex are in the nucleus tractus solitarii, which has both sympathetic and parasympathetic synapses. Ref: Hoit B.D., Walsh R.A. (2011). Chapter 5. Normal Physiology of the Cardiovascular System. In V. Fuster, R.A. Walsh, R.A. Harrington (Eds), Hurst's The Heart, 13e.